All are true regarding axillary artery except?
1. It is a continuation of subclavian artery.
2. It is crossed by pectoralis minor muscle.
3. It extends from outer border of second rib to the lower border of teres minor.
4. The second part of part of axillary artery is posterior to pectoralis minor muscle.

Correct answer: 3. It extends from outer border of second rib to the lower border of teres minor.

Explanation: AXILLARY ARTERY Branches Axillary artery extends from outer border of first rib to the lower border of teres major. Pectoralis minor crosses the axillary artery and divides it into 3 parts: First part - superior to the muscle. Second part - posterior to the muscle. Third part - inferior to the muscle.